The most common calcifying brain tumour in a child is:
1. Medulloblastoma
2. Craniopharyngioma
3. Glioma
4. Meningioma

Correct answer: 2. Craniopharyngioma

Explanation: Ans. Craniopharyngioma